The following are Socio-economic indicators Except:
1. Dependency ratio
2. Female literacy rate
3. Number of persons living per room
4. Notification rate

Correct answer: 4. Notification rate

Explanation: Socio economic indicators Housing Family size Literacy rate Availability per capita calorie GNP per capita Growth rate UnEmployment level Dependency ratio